Ramachandran is on the surgical ward with non-seminomatous tumor of testis and more than 4 retroperitoneal lymph nodes involved. You are the resident who is making a decision about further management. The treatment include all of the following, except:
1. Retroperitoneal Lymph Node Dissection (RPLND)
2. Inguinal orchiectomy
3. Chemotherapy
4. Radiotherapy

Correct answer: 4. Radiotherapy

Explanation: Inguinal orchiectomy with high ligation of the cord at the internal ring is the initial management of testicular tumour. Multi Agent chemotherapy and followed by surgical resection is one modality of treatment. Ref: Bailey & Love, 25th Edition, Page 1269.